Acute primary meningoencephalitis true is -
1. Meningitis caused by Acanthamoeba species is acute in nature
2. Diagnosis is done by demonstration of trophozoites in CSF
3. Caused by feco-oral transmission
4. More common in tropical climate

Correct answer: 2. Diagnosis is done by demonstration of trophozoites in CSF

Explanation: Option 1, 2,3 Naegleria Fowleri: Disease: Primary amebic meningoencephalitis (PAM). Infective form: Amoeboid form is the invasive form. Mode of transmission: Man acquire infection by nasal contamination during swimming in fresh hot water bodies like ponds, river, swimming pools or lakes. option 4 Acanthamoeba species are more common in tropical climate